A typical example of an immunologically mediated collagen vascular/connective tissue disorder is
1. Lichen planus
2. Pemphigus vulgaris
3. Lupus erythematous
4. Epidermolysis bullosa

Correct answer: 3. Lupus erythematous

Explanation: Systemic Lupus Erythematosus is a multisystem autoimmune disease characterised by autoantibodies, immune complex formation and immune dysregulation resulting in damage to kidney, skin, blood vessels, CNS. Pemphigus, Lichen planus, epidermolysis bullosa are mucocutaneous disorders.